Sling Psychrometer is used to measure-
1. Cooling power
2. Air velocity
3. Wind direction
4. Humidity

Correct answer: 4. Humidity

Explanation: Ans. is 'd' i.e., Humidity Instruments MeasureSling psychrometer} Assmann psychrometerHumidityDry & wet bulb hygrometer Kata thermameter-Cooling power and air velocityGlobe thermameter-Radiant tempratureAnemometer-Air velocityWind vane-Wind (air) directionSound level meter-Intensity of soundBond frequency analyzer-Characteristic (pitch) of sound